Which of the following enzyme is not a component of fatty acid synthase complex?
1. Acetyl Co-A carboxylase
2. Ketoacyl synthase
3. Enoyl reductase
4. Acetoacetyl

Correct answer: 1. Acetyl Co-A carboxylase

Explanation: The Fatty Acid Synthase Complex Is a Homodimer of Two Polypeptide Chains Containing Six Enzyme Activities and the Acyl Carrier Protein. The 6 enzymes are- Ketoacyl synthase Ketoacyl reductase Malonyl transacylase Dehydratase Enoyl reductase Thioesterase Acetyl Co-A carboxylase is the rate-limiting enzyme of fatty acid synthesis and is an enzyme, which is not a component of fatty acid synthase complex. REF: Lippincott book of biochemistry 6th ed.